Facial nerve has:
1. Motor root only
2. Motor and sensory root
3. Motor and sympathetic
4. Motor, sympathetic and parasympathetic fibres

Correct answer: 2. Motor and sensory root